The following is an anti-apoptotic gene
1. A. Bax
2. B. Bad
3. C. Bal-X
4. D. Bim

Correct answer: 3. C. Bal-X

Explanation: Refer ribbons 7/e p29, 9/e p55